Which patient has better prognosis in breast cancer?
1. Luminal A
2. Luminal B
3. Patient who has triple test negative
4. Patient who has triple test positive

Correct answer: 1. Luminal A

Explanation: LUMINAL CLASSIFICATION: Luminal A: ER & PR + ve, double positive HER - 2 - neu (-) ve Most common type, best prognosis. Luminal B: ER, PR & Her - 2 - neu positive (triple positive) Normal breast like: well differentiated, ER +VE Basal cell type: triple negative ER, PR Her-2-neu (-) ve Positive for myoepithelial markers (basal keratins, P-cadherin, P63, laminin) CK- 5, 6, 17 & EGFR. Her-2 type: Her-2-neu +ve ER, PR -ve, worst prognosis